Inhibition of platelet aggregation by -
1. ADP
2. Thromboxane A2
3. Thrombin
4. Bradykinin

Correct answer: 4. Bradykinin

Explanation: Ans. is 'd' i.e., Bradykinin Platelet aggregationAggregating factorPreventing aggregatng factoro ADPo Epinephrineo VWFo ThrombospondinoTXA2o Serotonino Fibrinogeno Collegeno Immune complexo Thrombin.oPGI2o EndochelinoNOo Bradykinin.